Propranolol is useful in all, Except
1. Migrane
2. Thyrotoxicosis
3. Parkinsonian tremor
4. Oesophageal varices

Correct answer: 3. Parkinsonian tremor

Explanation: Propranolol is used for essential tremor but not in parkinsonian tremor. In Graves disease, Propranolol (20-40 mg every 6 h) or longer-acting selective b1 receptor blockers such as atenolol may be helpful to control adrenergic symptoms, especially in the early stages before antithyroid drugs take effect. Beta blockers are also useful in patients with thyrotoxic periodic paralysis, pending correction of thyrotoxicosis. Propranolol reduces the frequency and intensity of a migraine headache. Beta-receptor antagonists have been found to diminish portal vein pressure in patients with cirrhosis. There is evidence that both propranolol and nadolol decrease the incidence of the first episode of bleeding from oesophagal varices Ref: Katzung 13e pg: 164-165